A 60 year old male patient operated for cataract 6 months back now complains of floaters and sudden loss of vision. The diagnosis is:
1. Vitreous hemorrhage
2. Retinal detachment
3. Central retinal artery occlusion
4. Cystoid macular edema

Correct answer: 2. Retinal detachment

Explanation: Retinal detachment